Investigation of choice for invasive amebiasis is -
1. Indirect heamagglutination
2. ELISA
3. Counter immune electrophoresis
4. Microscopy

Correct answer: 2. ELISA